Posterior epistaxis is commonly seen in
1. Children with ethmoidal polyps
2. Foreign body of the nose
3. Hypertension
4. Nose picking

Correct answer: 3. Hypertension

Explanation: Posterior epistaxis is commonly seen in elderly hypertensive patients. Often due to arteriosclerosis, rarely spontaneously Ref: Dhingra 7e pg 199.